Muttering delirium is seen with:
1. Ricinus
2. Dhatura
3. Cocaine
4. Aconite

Correct answer: 2. Dhatura

Explanation: Ans. Dhatura